Which of the following is an epileptogenic anaesthetic agent –
1. Isoflurane
2. Sevoflurane
3. Methoxyflurane
4. Halothane

Correct answer: 2. Sevoflurane

Explanation: Seizure like movement and EEG recorded seizures have also been noted during induction of anesthesia with Sevoflurane. The effects of Sevoflurane are less obvious than those with enflurane.

Seizure production : Enflurane >> Sevoflurane

So, if enflurance is provided as an option it is the best answer. If enflurane is not provided, sevoflurane is the answer.